Infra clavicular lesion of tuberculosis is known as ?
1. Assman's focus
2. Puhl's focus
3. Simmon's focus
4. Ghon's focus

Correct answer: 1. Assman's focus

Explanation: Ans. is 'a' i.e., Assman's focus Assman's focus The initial lesion in secondary tuberculosis at the apex of lung (infraclavicular) without any lymph node involvement is called Assman's focus.